Frozsen DPT vaccine should be -
1. Shaken thoroughly before use
2. Allowed to melt before use
3. Discarded
4. Brought to room temperature before use

Correct answer: 3. Discarded

Explanation: .DPT/DT vaccines should not be frozen.they should be stored in a refrigerator between 2 to 8 deg.C.vaccine should be used before the date of expiry.the vaccine will lose its potency if kept at room temperature for a long period of time. ref:park's textbook,ed 22,pg no 153